Spironolactone is most effective for -
1. Cirrhotic edema
2. Cardiac edema
3. Idiopathic edema
4. Nutritional edema

Correct answer: 1. Cirrhotic edema

Explanation: Ans. is 'a' i.e., Cirrhotic edema "Although can be used in all kinds of edema, spironolactone is the drug of choice for initial management of edema of liver cirrhosis".o Spironolactone is used in :i) Edema (cirrhotic and nephrotic)ii) Along with thiazide or loop diureticsiii) Hypertensioniv) CHF